D-Dimer values may be increased in all of the following Except:
1. Myocardial infarction
2. Pneumonia
3. Anticoagulant therapy
4. Pregnancy

Correct answer: 3. Anticoagulant therapy

Explanation: Answer is C (Anticoagulant therapy): D-Dimer values are falsely decreased in patients receiving anticoagulant therapy -Clinical Hematology Myocardial infarction, pneumonia and pregnancy are all established causes for false positive (Elevated) D-Dimer values Elevated True Positive Thromboembolic Diseases * PE * DVT * DIC * Others False Positive * MI * Pneumonia * Sepsis * Pregnancy * Cancer * Postoperative state * Heart failure